Chesrry red epiglottis is seen in
1. Larryngomalacia
2. Croup
3. Bronchiolitis
4. Acute epiglottitis

Correct answer: 4. Acute epiglottitis

Explanation: On laryngoscopy, cherry red epiglottis is seen in Acute epiglottitis.